The anti-hypertensive agent which decreases libido is:
1. Methyldopa
2. Captopril
3. Diazoxide
4. Hydralazine

Correct answer: 1. Methyldopa

Explanation: Methyldopa